Miniplate fixation is effective at
1. Zone of tension
2. Near the roots of teeth
3. Zone of compression
4. Near to the mental foramen

Correct answer: 1. Zone of tension